Which is not a method of local violence for procuring criminal abortion
1. Abortion stick
2. Electricity
3. Syringing
4. Cupping

Correct answer: 4. Cupping

Explanation: CUPPING - FORM OF GENERAL VIOLENCE A mug is turned mouth downwards over a lighted wick and placed on the hypogastrium and the mug is pulled, which results in partial separation of the placenta. This is usually practised in advanced pregnancy Methods of Local Violence for procuring Criminal Abortion: (1) Syringing (2) Rupturing of the Membranes (3) Syringe aspiration (4) Dilation of the Cervix (5) Abortion Stick (6) Air Insufflation (7) Electricity (8) Curettage (9) Pastes